Which of the following structure is NOT a content of the cubital fossa?
1. Brachial artery
2. Ulnar nerve
3. Radial nerve
4. Median nerve

Correct answer: 2. Ulnar nerve

Explanation: The cubital fossa is a triangular intermuscular space seen as a shallow surface depression in front of the elbow. The contents of the cubital fossa are tendon of biceps brachii, brachial artery, median nerve and radial nerve. Radial nerve is present in the superolateral aspect of the fossa under cover of brachioradialis. Boundaries of cubital fossa:Base is formed by an imaginary line passing through the medial and lateral epicondyle of humerus.Medial boundary is formed by lateral margin of pronator teres muscle.Lateral boundary is formed by medial margin of brachioradialis muscle.Apex is located at the crossing of pronator teres and brachioradialis muscle.Floor consist of brachialis in the upper part and supinator in the lower part.